Which of the following antihypertensive inhibits vesicular uptake of NA -
1. Propranolol
2. Prazosin
3. Reserpine
4. Guanithidine

Correct answer: 3. Reserpine

Explanation: Ans. is 'c' i.e., Reserpine o Reserpine inhibits vesicular uptake of NA, 5-HT & DA --) monoamines are gradually depleted and degraded by MAO.